Octreotide is, except -
1. Somatostatin analogue
2. Used in refractory diarrhoea in AIDS
3. Used in carcinoid
4. An absorbent

Correct answer: 4. An absorbent

Explanation: Ans. is 'd' i.e., An absorbent